Malignant melanoma of the choroid of following histological features has got the best prognosis:
1. Epitheloid cell melanoma
2. Spindie - A melanoma
3. Spindle - B melanoma
4. Mixed cell melanoma

Correct answer: 2. Spindie - A melanoma

Explanation: Ans. Spindie - A melanoma